Mercedes Benz sign is seen in-
1. Renal stone
2. Calcifiedlymphnode
3. Gall stone
4. Calcified fibroid

Correct answer: 3. Gall stone

Explanation: Ans. is 'c' i.e., Gall stone "The mercedes benz sign describes a star shaped pattern of gas fissuring with in gall stones described on an abdominal radiograph